Commonest benign tumor of the esophagus:
1. Leiomyoma
2. Papilloma
3. Adenoma
4. Hemangioma

Correct answer: 1. Leiomyoma

Explanation: Ans. (a) LeiomyomaRef: Sabiston 19th Edition, Pages 1047-1048Most commons in Leiomyoma Esophagus:* Most common benign tumor* Most common in Males* Most common in lower 2/3rd of esophagus* Most common symptom: Dysphagia* Most common/best investigation: Barium Swallow* Most common/best treatment: Enucleation